Floating water lily sign is seen in
1. Aspergillosis
2. Hamartoma
3. Hydatid cyst
4. Cavitating metastasis

Correct answer: 3. Hydatid cyst

Explanation: Ans. is 'c' i.e. Hydatid cyst Separated membranes floating with the cyst give the appearance of water lily.It is pathognomonic of hydatid cyst.